Frey's syndrome is caused due to damage to:
1. Postauricular nerve
2. Auriculotemporal nerve
3. Both of the above
4. None of the above

Correct answer: 2. Auriculotemporal nerve

Explanation: Gustatory sweating (auriculotemporal syndrome) commonly occurs following parotid surgery or other surgery or trauma that results in opening of the parotid capsule. It is thought to arise as a result of damage to the autonomic nerve fibres supplying the parotid gland and the overlying sweat glands. During the healing process parasympathetic secretomotor fibres to the parotid gland regenerate into the nerve sheaths of the sympathetic secretomotor nerves to the sweat glands. Frey's syndrome is characterized by sweating, warmth and redness of the face as a result of salivary stimulation by the smell or taste of food. It is usually a result of injury to auriculotemporal nerve after a parotid surgery. Ref: Gray's anatomy 40th edition, Chapter 29